Commonest site of accessory spleen is -
1. Lieno renal ligament
2. Hilum of spleen
3. Gastro splenic ligament
4. Around tail of pancreas

Correct answer: 2. Hilum of spleen